Which is true for krait?
1. Pit present near the nostrils
2. 3rd supralabial large
3. 4th infra labial large
4. All of the above

Correct answer: 3. 4th infra labial large

Explanation: Kraits : No pit third labial does not touch the nose and eye central row of scales on back enlarged. undersurface of the mouth has only four infralabials, the fourth being the largest.